All of the following biological reactions are taking place in mitochondria, EXCEPT:
1. Fatty acid oxidation
2. EMP pathway
3. Electron transport chain
4. Citric acid cycle

Correct answer: 2. EMP pathway

Explanation: The Embden-Meyerhof pathway: Embedem Meyerhof Parnas (EMP) pathway or glycolysis occurs in cytosol. This is one of three glycolytic pathways used to catabolize glucose to pyruvate and it can function during aerobic respiration, anaerobic respiration, and fermentation. When used during a respiratory process, the electrons accepted by NAD+ are transferred to an electron transport chain and are ultimately accepted by an exogenous electron acceptor. When used during fermentation, the electrons accepted by NAD+ are donated to an endogenous electron acceptor (eg, pyruvate). Ref: Brooks G.F., Carroll K.C., Butel J.S., Morse S.A., Mietzneron T.A. (2010). Chapter 6. Microbial Metabolism. In G.F. Brooks, K.C. Carroll, J.S. Butel, S.A. Morse, T.A. Mietzneron (Eds), Jawetz, Melnick, & Adelberg's Medical Microbiology, 25e.